Which of the following is false about leukoplakia?
1. Pre malignant condition
2. Can easily rubbed off
3. White patches
4. Treatment is repositioning of ill-fitting dentures

Correct answer: 2. Can easily rubbed off

Explanation: Leukoplakia is a pre malignant condition. Its a white patch which cannot be easily rubbed off.